Cushing's syndrome is not a feature of -
1. Adrenal carcinoma
2. Oat cell carcinoma of lung
3. Medulloblastoma
4. Pituitary adenoma

Correct answer: 3. Medulloblastoma

Explanation: medukloblastoma occur in the posterior fossa along with astrocytomas( Harrison 17 pg2605)